Which of the following is the most common etiological agent is paranasal sinus mycosis?
1. Aspergillus
2. Histoplasma
3. Conidiobolus coronatus
4. Candida albicans

Correct answer: 1. Aspergillus

Explanation: Paranasal sinus mycoses mean fungal sinusitis. Fungal infections of the paranasal sinuses are uncommon and usually occur in individuals who are immunocompromised. Aspergillus fumigatus is most commonly involved in allergic fungal sinusitis and sinus mycetoma. Many different species are found to involve the paranasal sinuses, the most common being the Aspergillus, Alternaria, Mucor or Rhizopus. (Ref: Textbook of ENT, Diseases of ENT, PL Dhingra, 7th edition, pg no.220)